Wheal and flare reaction is:
1. Type I hypersensitivity
2. Type II hypersensitivity
3. Type III hypersensitivity
4. Type IV hypersensitivity

Correct answer: 1. Type I hypersensitivity

Explanation: Ans. A: Type I hypersensitivity